All of the following structures forms the border of Quadrangular space, EXCEPT:
1. Teres major
2. Teres minor
3. Pectoralis minor
4. Long head of the triceps brachii muscle

Correct answer: 3. Pectoralis minor

Explanation: Structures forming the borders of Quadrangular space are teres major and teres minor muscles, long head of the triceps brachii muscle, and the humerus. Contents of this space are: axillary nerve and the posterior circumflex humeral artery. Structures forming the border of triangular space are:Teres major and teres minor muscles and the long head of the triceps brachii muscle.Its contents is Circumflex scapular artery.Ref: Morton D.A., Foreman K.B., Albertine K.H. (2011). Chapter 30. Shoulder and Axilla.